Which of the following is not a feature of primary tuberculosis:
1. Apical lung cavity
2. Ghon's focus
3. Paratracheal lymphadenopathy
4. Heal spontaneously by fibrosis

Correct answer: 1. Apical lung cavity

Explanation: Ans. A: Apical lung cavityThe primary complex generally exists singly and only occasionally in multiple units.In overwhelming majority of cases primary complex occurs in the lungs and only in about 5% cases they are distributed among the intestines, Oropharynx, the skin and other rarer sites. The primary focus in the lungs is called as Ghon focus. It generally occurs in the subpleural region of midline and lower lung zones. Mostly hilar and inter-pleural lymph nodes are involved to form the primary complex.Secondary TB is usually localized to apical and posterior segment of upper lobes.